All are alkaloids, except:
1. Morphine
2. Physostigmine
3. Atropine
4. Abrine

Correct answer: 4. Abrine

Explanation: Ans. Abrine